Which cholesterol is designated as “Good Cholesterol”
1. VLDL
2. LDL
3. IDL
4. HDL

Correct answer: 4. HDL